About chi-square test, true is
1. Less no. of samples are associated with less error
2. <0.001 is statistically significant
3. Categories of data used in test need not be mutually exclusive and discrete
4. Tests correlation and regression

Correct answer: 2. <0.001 is statistically significant